Thyroglosal cyst may occasionally give rise to .....carcinoma ?
1. Papillary
2. Medullary
3. Anaplastic
4. Follicular

Correct answer: 1. Papillary

Explanation: Ans. is 'a' i.e. Papillary